Highest amount of calorie for 100ml is present in
1. Human milk
2. Cow milk
3. Buffalo milk
4. Goat milk

Correct answer: 3. Buffalo milk

Explanation: Ans: c (Buffalo milk)Ref: Park, 20th ed. Pg. 545 19th ed. Pg. 499, Table 22Nutritive value of milks compared (Value per 100 gm) Calcium (mg) 210 120 170 28 Iron (mg) 0.2 0.2 0.3 -Energy (Kcal) 117 67 72 65 BuffaloCowGoatHumanFat (gm)6.54.14.53.4protein(gm)4.33.23.31.1Lactose (gm)5.14.44.67.4Minerals (gm)0.80.80.80.1water(gm)818786.888Calcium (mg)21012017028Iron (mg)0.20.20.3-Energy (Kcal)117677265It is evident from this table that Buffalo milk contains highest amount of fat and highest calories. Human milk contains higher amount of lactose and water than animal milk. Human milk proteins contain greater amount of tryptophan and sulphur containing amino acid, especially cysteine.Human milk contains a higher percentage of linoeic acid and oleic acid than animal milk.